All of the following are true about diffuse axonal injuries except:
1. Injuries to axons by shearing force
2. Most common location is lobar white matter at the junction of grey and white matter
3. Associated with raised ICT in all the cases
4. MRI is investigation of choice

Correct answer: 3. Associated with raised ICT in all the cases

Explanation: DIFFUSE AXONAL INJURIES (DAI) - DAI represents the presence of widespread axonal damage (white matter)in both hemispheres secondary to serve head injury. - Results from application of severe acceleration/ deceleration or angular strain to the brain (injuries to axons by shering force) - MC location: Lobar white matter at the junction of grey and white matter>Corpus callosum> Brain stem - Loss of conscciousness is a common finding - DAI: MC cause of post-traumatic vegetative state - Raised ICT may or may not be associated - MRI is IOC for DAI(better than CT scan).